Which of the following joint is a syndesmosis? (Repeat)
1. Superior Tibiofibular joint
2. Inferior tibiofibular joint
3. Talocalcaneal joint
4. Calcaneocuboid joint

Correct answer: 2. Inferior tibiofibular joint

Explanation: Ans: B (Inferior tibiofibular joint) Ref: Grays Anatomy 40th Ed Pg 101Explanation:SyndesmosisIt is a type of fibrous joint.It may be represented by an interosseous ligament.Such ligament persist throughout lifeSlight movement is possibleExample:Inferior tibio fibular jointInterosseous membranes of the forearm and legLigament flavaFunctionResponsible for integrity of ankle mortisPhysical ExamTest to identify a syndesmosis injury includeExternal rotation testSqueeze testImagingAP and mortise ankle radiographsUsed to evaluate the tibiofibular clear space and tibiofibular overlapTibiofibular clear space shoulde be < 5 mmTibiofibular overlap for AP view >10 mmWeight bearing mortise view is most accurate for diagnosisClinical conditionsHigh ankle sprain & syndesmosis injuryAnkle fracture